The PH of normal vagina is the LOWEST during which of the phases?
1. Menstruation
2. Pregnancy
3. Puerperium
4. Infancy

Correct answer: 2. Pregnancy

Explanation: The pH of the normal vagina is lower than 4.5, which is maintained by the production of lactic acid. Vaginal pH is most acidic during pregnancy. During pregnancy high levels of estrogen leads to thickening of vaginal epithelium and and stimulation of glycogen production. This increased glycogen content promotes the growth of lactobacilli which inturn break down glycogen to lactic acid and thereby reducing vaginal pH.